Glucose uptake in brain is by:
1. GLUT 1 and 3
2. GLUT 2 and 3
3. GLUT 3 and 4
4. GLUT 1 and 4

Correct answer: 1. GLUT 1 and 3

Explanation: Ans: A. GLUT 1 and 3For this question table given below:ReceptorLocationGLUT 1Brain, kidney, colon, placenta, erythrocytesGLUT 2Liver, pancreatic p cell, small intestine, kidneyGLUT 3Brain,kidney, placentaGLUT 4Heart and skeletal muscle, adipose tissueGLUTSSmall intestineSGLT1Small intestine and kidneySome other associated points on GLUT:Glucose enters cells by facilitated diffusion or, in the intestine and kidneys, by secondary active transport with Na+.Seven different GLUTs, named GLUT 1-7, have been characterized (as shown in table).They differ from sodium-glucose linked transporters (SGLT-1 and SGLT-2), which are responsible for the secondary active transport of glucose in the intestine and renal tubules.